Hydatidiform mole is principally a disease of-
1. Amnion
2. Chorion
3. Uterus
4. Decidua

Correct answer: 2. Chorion

Explanation: Hydatidiform or vesicular mole is an abnormal pregnancy characterized by hydropic degeneration and avascularity of the chorionic villi and trophoblastic proliferation.The resultant conceptus appears as grape like cystic vesicles called moles (refer pgno:169 sheila textbook of obstetrics 2 nd edition)